Which of the following is not an accepted method of randomization-
1. Computer drawn randomization
2. Odd/even day hospital admission
3. Lottery
4. Random number table

Correct answer: 2. Odd/even day hospital admission

Explanation: Ans. is 'b' i.e., Odd/even day hospital admission Methods of Randomization o Randomization is accomplished in a number of classic ways 1. Lottery method Suppose 10 patients are to be put in a control group or the trial group out of 100 available. The serial numbers of patients are noted on 100 cards and then shuffled well. The cards are drawn one by one and thus patients are allocated into trial and control groups. 2. Table of Random Numbers Published tables of Random numbers are used. This is considered to be the best method of randomization. A computer program is used for randomization o Randomization methods , which may at first seem reasonable (odd-even day randomization or daytime-nighttime convenience randomization), may actually support bias, particularly if the study is open-label or the operator or subject are not blinded as to the nature of the intervention. For example, if the study involves a procedure such as wound irrigation and the patients are randomized to have wounds irrigated with sterile saline on even days and tap water on odd days, a patient may present on an even day and the treating clinical investigator may elect not to enroll the patient in the study or to break the randomization, because they "just think that this particular wound needs saline irrigation." This is a very common error in otherwise well-designed clinical studies.